Which of the following lipids is associated with respiratory distress syndrome?
1. Phosphatidylethanolamine (cephalin)
2. Phosphatidylserine
3. Dipalmitoyl lecithin
4. Phosphatidylinositol

Correct answer: 3. Dipalmitoyl lecithin

Explanation: Dipalmitoyl lecithin is a very effective surface-active agent and a major constituent of the surfactant preventing adherence, due to surface tension, of the inner surfaces of the lungs. Its absence from the lungs of premature infants causes respiratory distress syndrome.
HARPERS ILLUSTRATED BIOCHEMISTRY30th ed,  Page No:216